Hypoglycemia is a recognized feature of all of the following conditions, except -
1. Uieinia
2. Acromegaly
3. Addison's disease
4. Hepatocellular failure

Correct answer: 2. Acromegaly